All are growth promoting oncogenes except -
1. FGF
2. TGF-a
3. TGF-b
4. PDGF

Correct answer: 3. TGF-b

Explanation: Robbins basic pathology 9th edition page no 187 TGF b can function to prevent or promote tumor growth, depending on the state of other genes in the cell.